Agonistic action at which of the following adrenergic receptors results in the reduction of aqueous secretion ?
1. β1 receptor
2. β2 receptor
3. M2 receptor
4. α2 receptor

Correct answer: 4. α2 receptor

Explanation: α2 receptors on ciliary epithelium when stimulated, reduces aqueous humor secretion.